Which of the following instruments has a two point
contact with the tooth
1. Hoe
2. Sickle
3. Currete
4. Cumin scaler

Correct answer: 1. Hoe